Young female presented with iron deficiency anaemia. FALSE is
1. Decreased serum ferritin
2. Decreased TIBC
3. Microcytic hypochromic
4. PICA

Correct answer: 2. Decreased TIBC

Explanation: (B) Decreased TIBC # Serum ferritin level correlates with total body iron stores; thus, the serum ferritin level is the most convenient laboratory test to estimate iron stores. The normal value for ferritin varies according to the age and gender of the individual. Adult males have serum ferritin values averaging about 100 g/L, while adult females have levels averaging 30 g/L. As iron stores are depleted, the serum ferritin falls to 15 g/L. Such levels are virtually always diagnostic of absent body iron stores.> TIBC is incresed to >400mcgdl.> Type of anaemia is Microcytic hypochromic.> Iron deficiency anaemia is typically related to PICA, a tendency to eat non edible substances. Iron Deficiency AnaemiaAnaemia of chronic diseaseSideroblastic AnemiaSerum Iron|||Serum Feriitin|N to ||TIBC|||Saturation per cent|No to T|